The great vein of galen drains into the -
1. Straight sinus
2. Inferior sagital sinus
3. IJV
4. EJV

Correct answer: 1. Straight sinus

Explanation: Great cerebral vein of Galen drains into the straight sinus.